"Call exner bodies" are seen in :
1. Dysgerminoma
2. Theca cell tumor
3. Granulosa cell tumor
4. Polyembryoma

Correct answer: 3. Granulosa cell tumor

Explanation: Ans. is c i.e. Granulosa cell tumour Call exner bodies are small cyst like spaces found in cases of granulosa cell tumour. Feature Associated tumour Call exner bodies Schiller duval bodies Reinke's crystal Psammoma bodies Walthard cell nest Signet ring cell - Granulosa cell tumour - Endodermal sinus tumor - Hilus cell tumour - Serous epithelial tumours - Brenner tumour - Krukenberg tumour